In a young patient presenting with recurrent vitreous hemorrhage, diagnosis is-
1. Eale's disease
2. CRVO
3. Proliferative retinopathy
4. Coat's disease

Correct answer: 1. Eale's disease

Explanation: Ans. (a) Eale's diseaseRef: Pearson's 22/e, p. 344Eale's disease is characterized by recurrent bilateral vitreous hemorrhage in young adult (20 - 30 yrs) males.